The Chorda tympani nerve arises from:
1. The vagus nerve
2. The trigeminal nerve
3. The glossopharyngeal nerve
4. The facial nerve

Correct answer: 4. The facial nerve

Explanation: The facial nerve